A 19-year-old girl with painless ulcer in labia majora with everted margins:
1. Treponema pallidum
2. Chlamydia
3. Gonorrhoea
4. Herpes genital ulcer disease

Correct answer: 1. Treponema pallidum

Explanation: Ans. is a, i.e. Treponema pallidumThe M/c causes of genital ulcers in young, sexual active women are:* Herpes simplex virus (HSV)* Treponema pallidum (syphilis)* Haemophilus ducreyi (chancroid).In this case, painless ulcer with everted margin leave no doubt that the cause of the ulcer is syphilis (treponema pallidum).Clinical features of genital ulcers